Curschmann spirals are characteristic of which of the following airway disease?
1. Chronic bronchitis
2. Emphysema
3. Atelectasis
4. Bronchial asthma

Correct answer: 4. Bronchial asthma

Explanation: Ref: Robbins Pathology, 9th ed. pg. 682Findings in Bronchial Asthma in Broncho-Alveolar Lavage or in Sputum* Curschmann spirals, is a finding in bronchial asthma which may result from extrusion of mucus plugs from subepithelial mucous gland ducts or bronchioles.* Charcot-Leyden crystals: It is composed of an eosinophilic protein called galectin-10.The other characteristic histologic findings of asthma, collectively called "airway remodeling" include:* Airway wall thickening* An increase in the size of the submucosal glands and number of airway goblet cells* Subbasement membrane fibrosis (due to deposition of type I and III collagen)* Increased vascularity* Hypertrophy and/or hyperplasia of the bronchial wall muscle